Lateral fornix is related to all except
1. Ureter
2. Uterine artery
3. Inferior vesical artery
4. Transverse cervical ligament

Correct answer: 3. Inferior vesical artery

Explanation: There are two named fornices: The posterior fornix is the larger recess, behind the cervix. It is close to the rectro uterine pouch. There are three smaller recesses in front and at the sides: the anterior fornix is close to the vesico uterine pouch. the two lateral fornices.